Hashimoto's thyroiditis is known as the MOST common inflammatory disorder of the thyroid. All of the following histological changes are seen in this condition, EXCEPT:
1. Follicular destruction
2. Increase in lymphocytes
3. Oncocytic metaplasia
4. Orphan Annie eye nuclei

Correct answer: 4. Orphan Annie eye nuclei

Explanation: Orphan Annie nuclei are intranuclear cytoplasmic inclusions seen in papillary carcinoma of thyroid. Lymphocytic (Hashimoto's) thyroiditis is a transformation of thyroid tissue to lymphoid tissue. On microscopic examination, the gland is diffusely infiltrated by small lymphocytes and plasma cells and occasionally shows well-developed germinal centers. Thyroid follicles are smaller than normal with reduced amounts of colloid and increased interstitial connective tissue. The follicles are lined by Hurthle or Askanazy cells. Ref: Lal G., Clark O.H. (2010). Chapter 38. Thyroid, Parathyroid, and Adrenal. In F.C. Brunicardi, D.K. Andersen, T.R. Billiar, D.L. Dunn, J.G. Hunter, J.B. Matthews, R.E. Pollock (Eds), Schwartz's Principles of Surgery, 9e.